Curling's ulcer is seen in:
1. Burn patients
2. Patients with head injuries
3. Zollinger Ellison syndrome
4. Analgesic drug abuse

Correct answer: 1. Burn patients

Explanation: Cushing ulcer: stress gastritis due to intracranial injury/increased ICP Curling ulcer: after burn injury (>35%); in the body and fundus; not in antrum and duodenum Cameron ulcers or riding ulcers; linear gastric erosions in hiatal hernias